Which of the following is a non-modifiable risk factor for CHD ?
1. Diabetes
2. Smoking
3. Hypertension
4. Old age

Correct answer: 4. Old age

Explanation: Ans. is 'd' i.e., Old age Old age is a non-modifiable risk factor for atherosclerosis and coronary heart disease (CHD). Other three (given in question) are modifiable risk factors.